Penetration power is more for
1. Hard X-rays
2. Soft X-rays
3. X-rays with long wavelength
4. Grenz rays

Correct answer: 1. Hard X-rays